Which of the following is only yeast ?
1. Candida
2. Mucor
3. Rhizopus
4. Cryptococcus

Correct answer: 4. Cryptococcus

Explanation: Ans. is d i.e., Cryptococcus